All the following are features of pseudotumor cerebri except-
1. Normal-sized ventricles on CT scan
2. Increased protein in CSF
3. Papilledema
4. Absence of focal neurological deficit

Correct answer: 2. Increased protein in CSF

Explanation: InPseudotumour cerebri(idiopathic intracranial hypertension ) clinical examination reveals papilloedema *Brain imaging shows typically normal sized ventricles *CSF examination reveals normal CSF constituents but raised CSF pressure. Ref Harrison20th edition pg 2234